Signet ring sign is seen in:
1. Blastomycosis
2. Bronchogenic carcinoma
3. Invasive aspergillosis
4. Bronchiectasis

Correct answer: 4. Bronchiectasis

Explanation: Ans. D i.e. Bronchiectasis Signet ring sign The signet ring sign is a CT finding seen in patients with Bronchiectasis The ring of soft-tissue attenuation represents the wall of the dilated bronchus seen on a cross-sectional CT scan, whereas the low-attenuating circle of air represents air within the dilated bronchus. The circle of soft-tissue attenuation abutting the ring represents a cross-sectional image of the pulmonary artery that lies adjacent to the dilated bronchus.